Which of the following hemoglobin (Hb) estimation will be diagnostically helpful in a case of beta thalassemia trait?
1. Hb-F
2. HbA
3. HbA2
4. Hb-H

Correct answer: 3. HbA2

Explanation: c. HbA2(Ref: Nelson's 20/e p 2349, Ghai 8/e p 341)Hb electrophoresis findings in Thalassemia:Type of Hbb thalassemia majorb-Thalassemia traitHbADecreased90-96%HbA25-7%3.5-7%HbF10-100%1-5%